Minnsesota tube is used for the control of variceal bleeding in portal hypertension has -
1. One lumen
2. Two lumen
3. Three lumen
4. Four lumen

Correct answer: 4. Four lumen